A 20 years old woman presents with rapid onset hirsutism with a pelvic mass. Which of these is the likely cause?
1. Sex cord stromal tumor of the ovary
2. Polycystic Ovarian Syndrome
3. Congenital Adrenal hyperplasia
4. Large simple ovarian cyst

Correct answer: 1. Sex cord stromal tumor of the ovary

Explanation: sex cord stromal tumours of the ovary are ovarian tumours arising from granulosa, theca, sertoli, leydig cells or stromal fibroblasts of the ovary. These may present with abdominal masses and are characterised by the production of sex corticoids (except fibroma) resulting in symptoms of hormonal excess (precocious puberty, virilisation). Hirsuitism may be of rapid onset. polycystic ovaries is the most common cause of hirsutism in young females, however it does not present with a rapid onset. Also PCOD does not present with an abdominal or pelvic mass. congenital adrenal hyperplasia: presents usually at birth with ambigous genitalia, salt wasting , but may also non classically present with adult onset with features of virilisation. However hirsutism is not of rapid onset and does not present with pelvic mass. large simple ovarian cyst: presents with pelvic mass but no features of virilsation as they do not produce androgens